What is the best procedure to control external hemorrhage in an event of accidental injury?
1. Elevation
2. Direct pressure
3. Proximal tourniquet
4. Artery forceps

Correct answer: 2. Direct pressure

Explanation: Direct firm pressure applied over the bleeding area or the involved artery at a site that is proximal to the wound is the best way to control external hemorrhage. A firm pressure dressing is applied and the injured part is elevated to stop venous and capillary bleeding if possible. If the injured area is an extremity it should be immobilized first. A tourniquet is applied to an extremity only as a last resort when the external hemorrhage cannot be controlled in any other way and immediate surgery is not feasible. The tourniquet should be applied proximal to the wound and tied tightly enough to control arterial blood flow. Ref: Brunner and Suddarth's Textbook of Medical-Surgical, Volume I, Page 2162